Hippocampal formation includes all, except?
1. Dentate gyrus
2. Subiculum complex
3. Amygdaloid nucleus
4. Entorhinal cortex

Correct answer: 3. Amygdaloid nucleus

Explanation: Ans. (c) Amygdaloid nucleusRef.: Ganong 25th ed. 1288, Atlas of neuroanatomy 2nd ed. / 203* The hippocampal formation is a compound structure in the medial temporal lobe of brain containing# Dentate gyrus# Hippocampus proper# Subiculum# Pre-subiculum, para-subiculum# Entorhinal cortex.* Amygadala primary role in the processing of memory, decision-making, and emotional reactions, the amygdalae are considered part of the limbic system.